A child presents with anti-mongoloid slant, pulmonary stenosis, short stature and undescended testis. The most likely diagnosis is:
1. Klinefelter syndrome
2. Noonan syndrome
3. Turner syndrome
4. Down syndrome

Correct answer: 2. Noonan syndrome

Explanation: Noonan syndrome - Autosomal dominant gene with variable expressivity, the gene has mapped to chromosome 12q. Most common abnormalities are - short stature, webbing of neck, pectus carinatum or pectus excavatum, cubitus valgus, right sided congenital heart disease *Hypertelorism, epicanthus, downward slanted palpebral fissure, ptosis, micrognathia and ear abnormality *Clinodactyly, moderate intellectual disability, high frequency sensorineural hearing loss is common *The cardiac defect Q is most often pulmonary valvular stenosis, hypertrophic cardiomyopathy or ASD *Low clotting factors XI or XII, ALL and CML have been described *A few patient with neurofibromatosis I and features of Noonan syndrome were subsequently reported as havinq Turner syndrome, Male frequently have Cryptorchidism and small testes, they may be hypogonadal or normal.